A bactericidal drug would be preferred over a bacteriostatic drug in a patient with:
1. Neutropenia
2. Cirrhosis
3. Pneumonia
4. Heart disease

Correct answer: 1. Neutropenia

Explanation: Primarily bacteriostatic:Sulfonamides ,Erythromycin Tetracyclines, Ethambutol Chloramphenicol ,Clindamycin Linezolid. Primarily bactericidal Penicillins Cephalosporins Aminoglycosides Vancomycin Polypeptides Nalidixic acid Rifampin Ciprofloxacin Isoniazid Metronidazole Pyrazinamide Cotrimoxazole Many infections in patients with normal host defence respond equally well to bacteriostatic and bactericidal AMAs. But several acute infections resolve faster with a cidal than a static drug, because the cidal drug directly reduces the number of bacteria at the site of infection, while the static drug only prevents increase in their number. Many bactericidal drugs exert prolonged postantibiotic effect so that maintenance of drug level continuously above the MIC is not essential. With bacteriostatic AMAs the bacteria start multiplying quickly when drug level falls below the MIC, resulting in relapse of infection. A bactericidal antibiotic is clearly superior to bacteriostatic one in treating patients with impaired host defence, life-threatening infections, infections at less accessible sites (SABE) or when carrier state is possible (typhoid) . ESSENTIALS OF MEDICAL PHARMACOLOGY K.D.TRIPATHI SIXTH EDITION PAGE NO:676